Which is most likely complication of lUD?
1. Hypofibrinogenemia
2. Sterility
3. Cervical tear
4. None of the above

Correct answer: 1. Hypofibrinogenemia

Explanation: The most common complication seen in intrauterine fetal death is hypo fibro gene mia due to consumption coagulopathy. It occurs due to release of thromboplastin from dead fetus and placenta into maternal circulation. (DC Dutta TB of obstetrics 8th edtn pg 378)